Libmansach's endocaritis is associated with?
1. Rheumatic heart disease
2. SLE
3. Carcinoma
4. None

Correct answer: 2. SLE

Explanation: Ans. B. SLE. (Ref. Robbings pathology 8th/pg. 408).Robbin's pathology 8th/pg. 408# Libman-Sacks endocarditis refers to sterile vegetations that can develop on the valves of patients with systemic lupus erythematosus.Libman-Sacks Endocarditis# These lesions presumably occur because of immune complex deposition and thus have asso inflammation. With increasing use of steroids for Rx of lupus, Libman-Sacks endocarditis has become uncommon.# Morphology-Histology:- Small (1-4 mm in diameter) sterile, granular pink vegetations;- No special predilection for the lines of valve closure.- Can be located on the undersurfaces of the atrioventricular valves, on the cords, or even on the atrial or ventricular endocardium.- The lesions are finely granular, fibrinous eosinophilic vegetations containing nuclear debris. An intense valvulitis is often present, with fibrinoid necrosis of the valve substance adjacent to the vegetation. Subsequent fibrosis and serious deformity can result that resemble chronic RHD.# A]. The acute rheumatic heart disease (RHD) is marked by a row of small, warty verrucae along the lines of closure of the valve leaflets.# B]. Infective endocarditis (IE) typically shows large, irregular, and destructive masses that can extend onto the chordae.# C]. Nonbacterial thrombotic endocarditis (NBTE) typically shows small, bland vegetations, usually attached at the line of closure. One or many may be present.# D]. Libman-Sacks endocarditis (LSE) has small or medium-sized vegetations on either or both sides of the valve leaflets, or elsewhere on the endocardial surface.